Okazaki fragments are formed during ?
1. Transcription
2. Translation
3. DNA replication
4. None

Correct answer: 3. DNA replication

Explanation: Ans. is 'c' i.e., DNA replication